Kaposi varicelliform lesion coommonly seen in
1. Atopic dermatitis
2. Darriers disease
3. Lichen planus
4. Varicella zoster

Correct answer: 1. Atopic dermatitis

Explanation: kaposis varicelliform eruption / eczema herpeticum disseminated cutaneous infection caused by herpes simplex infection in patients with preexisting active dermatitis. Most common in atopic dermatitis Other skin diseases associated with eczema herpeticum:seborrheicdermatitis, pemphigus foliaceous, pityriasis rubra Pilaris, ichthyosaurs,mycosis fungoides, pemphigus foliaceous,darriers disease,burns. iadvl textbook of dermatology,page 245